Which one of the following oral hypoglycemic agents is not an insulin secretogogue ?
1. Gliclazide
2. Glimiperide
3. Repaglinide
4. Rosiglitazone

Correct answer: 4. Rosiglitazone

Explanation: Rosiglitazone is a thiazolidinedione which reduce insulin resistance by binding to the PPAR-g (peroxisome proliferator-activated receptor g) nuclear receptor (which forms a heterodimer with the retinoid X receptor). The PPAR-g receptor is found at highest levels in adipocytes. Agonists of this receptor regulate a large number of genes, promote adipocyte differentiation, reduce hepatic fat accumulation, and promote fatty acid storage. Thiazolidinediones promote a redistribution of fat from central to peripheral locations. Thus it enhances the actions of endogenous insulin. Reference : page 2415 Harrison's Principles of Internal Medicine 19th edition